The pinard's manoeuvre is seen :
1. In breech deliveries
2. As an adjunct to versions and extraction
3. In forceps rotation manoeuvres
4. In low cervical stations

Correct answer: 1. In breech deliveries

Explanation: In breech deliveries